Autoimmune hemolytic anemia is seen in -
1. CML
2. CLL
3. ALL
4. AML

Correct answer: 2. CLL

Explanation: Clinical features of CLL 

Most patients present at ages over 50 with a male predominance
Patients with CLL are often asymptomatic.
When symptoms appear, they are nonspecific and include easy fatigability, weight loss and anorexia.

Other symptoms are : -

Hepatosplenomegaly             
Lymphadenopathy   
Hypogammaglobulinemia Increased susceptibility to infections.   
Autoimmune hemolytic anemia or thrombocytopenia          
CLL has a tendency to transform into more aggressive lymphoid neoplams : -


Prolymphocytic leukemia  → Characterized by worsening of cytopenia, marked splenomagaly and appearance of prolymphocytes in the peripheral blood.
Richter syndrome → CLL is transformed into diffuse large B-cell lymphoma.